Non enveloped ss - RNA virus is:
1. Picornavirus
2. Poxvirus
3. Retrovirus
4. Bunyavirus

Correct answer: 1. Picornavirus

Explanation: Ans. is 'a' i.e., PicornavirusRNA Viruses (+ Stranded)Virus FamilyRNA StructureVirion - Associated PolymeraseEnvelopeShapeMultiplies inMajor VirusesCalicivirusss (+) RNA LinearNo polymeraseNakedIcosahedralCytoplasmNorwalk agent Noro -like virusHepesvirusss (+) RNA linearNo polymeraseNakedIcosahedralCytoplasmHepatitis EPicornavirusss (+) RNA LinearNo polymeraseNakedIcosahedralCytoplasmPolio**ECHOEnterovirusesRhinoCoxsackieHepatitis AFlavivirusss (+) RNA LinearNo polymeraseEnvelopedIcosahedralCytoplasmYello feverDengueSt. Louis encephalitisHepatitis CWest Nile virusTogavirusss (+) RNA LinearNo polymeraseEnvelopedIcosahedralCytoplasmRubellaWEE, EEEVenezuelan encephalitisCoronavirusss (+) LinearNo polymeraseEnvelopedHelicalCytoplasmCoronaviruses SARS - CoVRetrovirusDiploid ss (+) RNA LinearRNA dep. DNA polymeraseEnvelopedIcosahedral or truncated conicalNucleusHIVHTLVSarcomaMnemonic: (+) RNA Viruses: Call Henry Pico and Flo To Come Rightaway** Mnemonic: Picornaviruses: PEE Co Rn A VirusesPolio, Entero, Echo, Coxsackie, Rhino, Hep A